Which of the following molecules are expressed by a TH1 T-cell?
1. Interleukin-2, Interleukin-3, Interleukin-4 and Tumor Necrosis Factor-alpha
2. Interleukin-2, Interleukin-3, Interferon-gamma and Endotoxin
3. Interleukin-2, Interleukin-3, Interleukin-10 and Endotoxin
4. Interleukin-2, Interleukin-3, Interferon-gamma and Tumor Necrosis Factor-alpha

Correct answer: 4. Interleukin-2, Interleukin-3, Interferon-gamma and Tumor Necrosis Factor-alpha

Explanation: Interleukin-2 and Interferon-gamma are specific for TH1 T-Cells, whereas Interleukin-3 is expressed by both TH1 and TH2 T-cells. Tumor Necrosis Factor-alpha is mostly expressed by TH1 T-cells, but there are some TH2 T-cells which express Tumor Necrosis Factor-alpha. Also Know: Th1 cells are the major helper T-cell source of interferon gamma, and are the major T cells involved in activating macrophages, eliciting delayed-type hypersensitivity responses, and clearing intracellular pathogens. Th2 cells, on the other hand, are the major helper-T cell source of IL-4 and are important for the generation of immunoglobulin (Ig) E, the production of eosinophils, and the immune defense against infections by parasites. Ref: Kipps T.J. (2010). Chapter 78. Functions of T Lymphocytes: T-Cell Receptors for Antigen. In J.T. Prchal, K. Kaushansky, M.A. Lichtman, T.J. Kipps, U. Seligsohn (Eds), Williams Hematology, 8e.